Primary health centre was proposed under:
1. Srivastava committee
2. Bhore committee
3. Kartar Singh committee
4. None of the above

Correct answer: 2. Bhore committee

Explanation: Bhore committee in 1946 gave the concept of primary health care centre as a basic health care unit. Ref: Park 22nd edition pg: 800.